Intercostobrachial nerve is a branch of -
1. 1st intercostal nerve
2. 2nd intercostal nerve
3. 3rd intercostal nerve
4. Upper trunk of brachial plexus

Correct answer: 2. 2nd intercostal nerve

Explanation: Intercostobrachial nerve
-        Lateral cutaneous branch of 2nd intercostal nerve
-        Supplies

Skin of floor of axilla.
Upper part of medial aspect of arm.